Spring water cyst is another name for:
1. Hydatid cyst of lung
2. Lung amoebic cyst
3. Pleuro pericardial cyst
4. All

Correct answer: 3. Pleuro pericardial cyst

Explanation: C i.e. Pleuro-pericardial cyst